The bone tumor seen in children with characteristic lamellated periosteal reaction with a mottled appearance and extension into soft tissue is which of the folllowing?
1. Osteosarcoma
2. Giant cell tumor
3. Ewing's sarcoma
4. Osteoid osteoma

Correct answer: 3. Ewing's sarcoma

Explanation: Radiologically, Ewing's sarcoma is often associated with a lamellated or "onion peel" periosteal reaction. This appearance is caused by and splitting and thickening of the cortex by tumor cells. The lesion is usually lytic and central. Endosteal scalloping is often present. The "onion-peel" appearance is often followed with a "moth-eaten" or mottled appearance and extension into soft tissue.